Opening in Caldwell-Luc operation is made in which of the following?
1. Middle meatus
2. Inferior meatus
3. Canine fossa
4. Dental sulcus

Correct answer: 3. Canine fossa

Explanation: Ans. c (Canine fossa). (Ref Diseases of ENT by PL Dhingra,3rd ed., 475; Bhargava, 188)CALDWELL-LUC OPERATIONSite of incision##Over anterior wail of antrum in the region of canine fossa.It is the process of opening maxillary antrum through canine fossa by sub-labial approach.Contraindicated#Below 17 years of age.indications1.Chronic sinusitis(Mnemonic.; COFFEE BOARD)2.Oro antral fistula3.Fungal sinusitis 4.Foreign body in maxilla 5.Ethmoidectomy 6.Elevation of orbital floor fracture 7.Biopsy (benign and rarely malignant conditions) 8.Opening of posterior wall of maxilla so as to ligate maxillary artery 9.AC polyp 10.Reducing fracture maxilla 11.Dentigerous cystComplications#Pain and paraesthesia(Mnemonic -POP SHOOT)#Orbital cellulitis#Swelling #Hemorrhage #Oroantral fistula #Osteomyelitis of maxilla #Tooth root injury #Anaesthesia of cheek due to stretching of Infraorbital nerve is common and persists for few weeks or months following Caldwell Luc operation.